Toll like receptors, recognize bacterial products and stimulate immune response by:
1. Perforin and granzyme mediated apoptosis
2. FADD ligand apoptosis
3. Transcriptions of nuclear factor mediated by NFK-? which recruits cytokines
4. Cyclin

Correct answer: 3. Transcriptions of nuclear factor mediated by NFK-? which recruits cytokines

Explanation: . Transcriptions of nuclear factor mediated by NFK-? which recruits cytokines